Telomerase has action of:
1. DNA polymerase 1
2. DNA polymerase 2
3. DNA polymerase 3
4. Reverse transcriptase

Correct answer: 4. Reverse transcriptase

Explanation: Telomerase - Telomerase is a ribonucleoprotein particle required for telomere maintenance. Telomerase contains an RNA that serves as the template, not the primer , for the synthesis of telomeric DNA by the reverse transcriptase of telomerase. Telomeric RNA has no catalytic activity. As a reverse transcriptase, telomerase synthesizes DNA using its RNA template and so is an RNA-transcriptase DNA polymerase. Telomerase is highly active in the early embryo, and after birth it is active in the reproductive and stem cell. Telomerase activity high in cancer cell.